Therapeutic index is a measure of?
1. Efficacy
2. Adverse effects
3. Safety
4. Potency

Correct answer: 3. Safety

Explanation: ANSWER: (C) Safety REF: KDT 7th ed p, 54/55Therapeutic index = Median lethal dose/Median effective doseOne estimate of a drug's margin of safety is the ratio LD50/ED50, the therapeutic index, which is a statement of how selective the drug is in producing its desired versus its adverse effects.